Foot process effacement is seen on EM in ?
1. Minimal change disease
2. Focal segmental GN
3. IgA nephropathy
4. All

Correct answer: 4. All

Explanation: Ans. is All 'a' i.e., Minimal change disease, 'b' i.e., Focal segmental GN, 'c' i.e., IgA nephropathyo Foot process effacement is noted in patients with nephrotic syndrome.o A variety of injurious stimuli may cause the podocyte to react with flatteninng or simplification of the foot process architecture.While most commonly noted in lipoid nephrosis (minimal change disease), foot process effacement can also be seen in focal segmental glomerulosclerosis, membranous glomerulonephropathy and in other glomerulonephritis.So, keep in mind that foot process efffacement is seen most commonly in minimal change disease, but can also occur in other glomerulonephropathies causing nephrotic syndrome (FSGS, IgA nephropathy, MPGN) o For option IgA nephropathy is a type of mesangioproliferative GN.